Muscle involved in the rotation and protrusion of the mandible
1. Masseter
2. Medial pterygoid
3. Temporalis
4. Digastric

Correct answer: 2. Medial pterygoid